In Henoch Scholien purpura there is all except:
1. Abdominal pain with proteinurea
2. Acute arthritis
3. Rectal bleeding
4. More common in adults

Correct answer: 4. More common in adults